Gastro-colic reflex is related to:-
1. Mass peristalsis
2. Segmentation contractions
3. Pendular movement
4. Irritable bowel

Correct answer: 1. Mass peristalsis

Explanation: Gastro-colic reflex - Reflexes from gut to the prevertebral sympathetic ganglia and the back to gastrointestinal tract. These reflexes transmit signals long distances to other areas of the gastrointestinal tract, such as signals from the stomach to cause evacuation of the colon (the gastrocolic reflexes). Gastrocolic reflex is related to mass peristalsis. It is stronger in children. Segmentation contraction - meant for the purpose of mixing. Pendular movement - type of peristaltic movement.